A female patient has adenocarcinoma uterus along with sarcoma of uterus. It is known as:
1. Homologous sarcoma
2. Sarcoma uterus
3. Mixed Mullerian carcinogenesis
4. Heterologous sarcoma

Correct answer: 3. Mixed Mullerian carcinogenesis

Explanation: Mixed mullerian carcinoma is a mixture of both carcinomatous and sarcomatous element.           

Represent 50% of all uterine sarcoma.
Most common combination is of serous carcinoma with endometrial sarcoma.
Most commonly occur in postmenopausal women.

Remember:

Most common histologic type of uterine sarcoma is carcinosarcoma.
Most common symptom of uterine sarcoma is bleeding.
Surgery is main stay of treatment followed by chemotherapy.

Also know:
Heterologous tumors: If sarcoma component of mixed mullerian tumors mimic extra uterine tissue (viz - striated muscle cell, cartilage, adipose tissue and bone) it is known as Heterologous tumor.
Homologous tumor: If mesenchymal/ sarcomatous component of mixed mullerian tumor consists of malignant endometrial or smooth muscle differentiation, the term homologous is used.